Following increase risk of Parkinsonism EXCEPT
1. Nicotine
2. MPTP
3. Parkin gene
4. Head injury

Correct answer: 1. Nicotine

Explanation: (A) Nicotine > Mutations in the parkin gene should be considered in patients with disease onset prior to 40 years.PARKINSONISMRisk FactorsReduced Incidence1. Positive family history1. Coffee drinking2. Male gender2. Smoking3. Head injury3. NSAID4. Exposure to pesticides4. Estrogen replacement in postmenopausal women5. Consumption of well water6. Rural living 7. Parkin gene